Which of the following diseases show resistance to Succinyl choline?
1. Myasthenia gravis
2. Polymyositis
3. Eaton lambert myasthenia syndrome
4. Muscular dystrophy

Correct answer: 1. Myasthenia gravis

Explanation: Ref: Miller Textbook of Anaesthesia. 7th edExplanation:Myasthenia gravis:It is characterized by decreased acetyl choline receptors because of their destruction by- antibodies against themPatients may require thymectomyThe normal life span of acetyl choline receptors is 7 days, its decreased to lday in myasthenia gravis.There is Decrease in functional nAChRs, as a result decreased response or resistant to ACh (and thus suxamethonium).These patients are hypersensitive to nondepolarising agents (due to less number of acetyl choline resceptor available for competitive antagonism).So, potent non-depolarising blockers tubocurare, gallamine, metocurine and pancuronium should not he usedOn the other hand Succinyl Choline is contraindicated in muscular dystrophy, (Cardiac arrest due to hyperkalemia can occur and permanent contractures can develop)